Oral lesions of secondary syphilis includes all EXCEPT
1. Snail track ulcers
2. Mucous patches
3. Chancre of tongue
4. Hutchinson's wart

Correct answer: 3. Chancre of tongue